All of the following are postcoital contraception methods except -
1. Mifepristone
2. IUD
3. Levonorgestrol
4. Barrie methods

Correct answer: 4. Barrie methods

Explanation: park's textbook of preventive and social medicine 23rd edition. *post capital contraception is recommended within 72 hours of an unprotected intercourse.2 methods are available IUD and hormonal (mifepristone and levonorgestrel).barrier methods aim to prevent live sperm from meeting the of ovum